Growth on cell-free artificial solid medium is possible for following except ?
1. Ureaplasma urealyticum
2. Mycoplasma pneumoniae
3. CRT and L form of Proteus vulgaris
4. Chlamydia

Correct answer: 4. Chlamydia

Explanation: Chlamydiae are obligate intracellular parasites of humans and animals with marked affinity for the squamous epithelial cells of the gastrointestinal and respiratory tracts. They cause infections of chest (Pneumonia) and genital tract ( urethritis,cervicitis etc.) Microscopy - On Gram stain - No organism is seen i.e. chlamydia are not visible on gram stain Culture - On McCoy cell lines and yolk sac of eggs (Hen) Chlamydia cannot be isolated on artificial media or cell free solid media It grows on cell line/egg/mice inoculation IOC = NAAT ( Nucleic acid amplification test ) = PCR